Each of the following organisms is an important cause of urinary tract infections except:
1. Klebsiella pneumonia
2. Escherichia coli
3. Bacteroides fragilis
4. Proteus mirabilis

Correct answer: 3. Bacteroides fragilis

Explanation: Ans. C. Bacteroides fragilisAnaerobic bacteria are implicated in various infections including mainly puerperal sepsis & genital infections, wound infections & intra-abdominal infections.